A middle-aged man presents with a lower jaw swelling. Clinically, there is expansion of the left ramus and the X-ray mandible shows soap bubble appearance. What is the clinical - diagnosis?
1. Keratocyst
2. Adamantinoma
3. Aneurysmal bone cyst
4. Odontogenic myxoma

Correct answer: 2. Adamantinoma

Explanation: Ameloblastoma/Adamantinoma is a rare, benign or cancerous tumor of odontogenic epithelium (ameloblasts, or outside portion, of the teeth during development) much more commonly appearing in the lower jaw than the upper jaw. Diagnosis Ameloblastoma is tentatively diagnosed through radiographic examination and must be confirmed by histological examination through biopsy. Radiographically, the tumour area appears as a rounded and well-defined lucency in the bone with varying size and features. Numerous cyst-like radiolucent areas can be seen in larger tumours (multi-locular) giving a characteristic "soap bubble" appearance. A single radiolucent area can be seen in smaller tumours (unilocular). The radiodensity of an ameloblastoma is about 30 Hounsfield units, which is about the same as keratocystic odontogenic tumours. However, ameloblastomas show more bone expansion and seldom show high density areas. Lingual plate expansion is helpful in diagnosing ameloblastoma as cysts rarely do this. Resorption of roots of involved teeth can be seen in some cases, but is not unique to ameloblastoma. Ref: https://en.m.wikipedia.org/wiki/Ameloblastoma